Regarding prion protein which of the following statement is true -
1. It is protein product coded in viral DNA
2. It catalyses abnormal folding of other proteins
3. It protect disulfide bonds from oxidation
4. It cleaves normal proteins

Correct answer: 2. It catalyses abnormal folding of other proteins

Explanation: these are proteinatious infectious particle .it has been suggested that they also responsble for some neurological degenerative disorder by catalyding abnormal folding of protiens REF:ANANTHANARYANAN TEXT BOOK OF MICROBIOLOGY 9EDITION PGNO.442